Gastric carcinoma is most common in which one of the listed geographic locations?
1. Canada
2. France
3. Japan
4. United Kingdom

Correct answer: 3. Japan

Explanation: There are marked differences in the incidence of various types of cancer in different parts of the world. The highest rates for gastric carcinoma are found in Japan, Chile, China, and Russia, while it is much less common in the United States, the United Kingdom, Canada, and France.